The secretomotor fibre to the parotid gland passes through
1. Ciliary ganglion
2. Otic ganglion
3. Sub mandibular ganglion
4. Geniculate ganglion

Correct answer: 2. Otic ganglion

Explanation: B. i.e. (Otic ganglion) (737- BDC-3 4th)* Parasympathetic secretomotor fibres from the inferior salivary nucleus of the 9th nerve supply the parotid gland. The nerve fibres pass to the otic ganglion via the tympanic branch of the 9th nerve and lesser petrosal nerve* Parotid duct (stenson duct) opens into the opposite the crown of the upper second molar tooth *** Structure within the parotid gland - from lateral to medial are facial nerve, retromandibular vein, external carotid artery, lymph node*** Taste fibres are the peripheral processes of the cells in the geniculate ganglion (712-Snell 8th)* Ciliary Ganglion - is a parasympathetic ganglion situated in the posterior part of the orbit and supply the sphincter pupillae and the ciliary muscle